A 35 yr old pregnant female at 40 weeks gestational age presents with pain and regular uterine contractions every 4-5min . On arrival the patient is in a lot of pain and requesting relief immediately. Her cervix is 5 cm dilated. What is most appropriate method of pain control for this patient
1. Intramuscular morphine
2. Pudendal block
3. Local block
4. Epidural block

Correct answer: 4. Epidural block

Explanation: When complete relief of pain is needed throughout labor epidural analgesia is safest and simplest